Lifespan of the fetal RBC is approximately :
1. 50 days
2. 80 days
3. 100 days
4. 120 days

Correct answer: 2. 80 days

Explanation: In contrast to the adult RBC lifespan of 120 days, the lifespan of the neonatal erythrocyte is only 60 to 90 days with preterm infants having an even shorter life span of 35 to 50 days.6 Hb F has a tendency to denature and damage the membrane from within, contributing to the shortened the red cell lifespan.Rh factor is developed by 38 days. Pearson HA. Life-span of the fetal red blood cell. J Pediatr. 1967;70:166-71.